Vitamin K is involved in action of following protein except -
1. Factor II
2. Factor X
3. Factor I
4. Protein C

Correct answer: 3. Factor I

Explanation: Ans. is 'c' i.e., Factor I